Type of lung carcinoma producing superior vena cava syndrome -
1. Squamous cell carcinoma
2. Adenocarcinoma
3. Small cell carcinoma
4. Anaplastic carcinoma

Correct answer: 3. Small cell carcinoma